Which of the following is the inheritance of Incontinentia Pigmenti
1. AD
2. AR
3. X-linked dominant
4. X-linked recessive

Correct answer: 3. X-linked dominant

Explanation: X- Linked Recessive Inheritance OHemophila A and B ODuchenne muscular dystrophy OG6PD deficiency ORetinitis pigmentosa (most severe- less common form) OBrutons Agammaglobulinemia OHunters syndrome OChronic Granulomatous disease OWiskott-Aldrich syndrome ODiabetes insipidus OLesch-Nyhan syndrome OFragile X syndrome ODents disease OKallman syndrome OAndrogen insensitivity syndrome OFabry's disease OAlpo syndrome X Linked Dominant Inheritance uVitamin D Resistant rickets uFamilial Hypophosphatemia (PHEX) uIncontinentia pigmentii uOro-Facio-Digital syndrome uRetts syndrome ref - Harrisons internal medicine 20edition , Davidsons medicine 23e pg47